Basiliximab is?
1. Anti CD3 monoclonal antibody
2. Anti CD25 monoclonal antibody
3. IL1 receptor antagonist
4. TNF alpha inhibitor

Correct answer: 2. Anti CD25 monoclonal antibody

Explanation: Basiliximab is an anti CD25 antibody. It has a high affinity for interleukin 2. It is used for the prevention of rejection reactions in transplant patients.Ref: Sharma and Sharma 2nd e/pg 887